Judkins technique used for?
1. Central venous line placement
2. Coronary arteriography
3. Renal aniography
4. Chest tube insertion

Correct answer: 2. Coronary arteriography

Explanation: Catheters used for performing coronary angiography the femoral artery were developed by Melvin Judkins, MD; thus, the method often is referred to as the Judkins technique. This widely used method requires separate preformed catheters for the right and left coronary arteries . Ref -davidson 23rd edition pg 491